Which one of the following statements best describes immunological tolerance?
1. Immunologic maturity of the host does not play a major role
2. It occurs only with polysaccharide antigens
3. It is related to the concentration of antibody
4. It is prolonged by administration of immunosuppressive drugs

Correct answer: 4. It is prolonged by administration of immunosuppressive drugs

Explanation: Whether an antigen will induce tolerance rather than an immunologic response is largely determined by immunological maturity of the host, structure, dose of antigen and administration of immunosuppressive drugs. Tolerance is best maintained by the presence of low concentrations of antigen. T cells become tolerant more readily than B cells.